Anencephaly causes all except :
1. Prematurity
2. Face presentation
3. Hydramnios
4. None

Correct answer: 4. None